Nitrites are used for all of the following conditions except?
1. Congetive heart failure
2. Cyanide Poisoning
3. Esophangeal spasm
4. Renal colic

Correct answer: 4. Renal colic

Explanation: Nitrates are used in angina, congestive cardiac failure, biliary colic, cyanide poisoning. Not in renal colic. used only in biliary colic due to the sphincter spasm They cause smooth muscle relaxation including endothelium of veins-venous dilation. so used in all above-mentioned conditions. REF.Essentials of Pharmacology KD Tripathi 8th ed.